Ribosomes has following enzymatic activity?
1. Peptidyl transferase
2. Peptidase
3. Aminoacyl tRNA synthetase
4. GTPase

Correct answer: 1. Peptidyl transferase

Explanation: The formation of peptide bonds is catalysed by peptidyl transferase, an activity intrinsic to the 23 S r-RNA of 50 S subunit in prokaryotes and 28 S r-RNA of 60 S subunit in eukaryotes. So, it is referred to as ribozyme & indicates a direct role of r-RNA in protein synthesis.